All of the following are true about Right Ventricular Infarcts, except:
1. Nocturia
2. Hepatomegaly
3. Ascites
4. Orthopnea

Correct answer: 4. Orthopnea

Explanation: Right Ventricular infarcts will cause failure of Right ventricular resulting in systemic congestions and features of Right heart failure. Orthopnea is typically a feature of left heart failure. Left Heart Failure Right Heart Failure Left heart failure is defined as a clincal syndrome where the dominant feature is fluid congestion in the lungs (pulmonary) rather than in the systemic circulation Right heart failure is defined as clinical syndrome where the dominant feature is fluid congestion in the systemic circulation The Pulmonary capillary wedge pressure is typically elevated (increased PCWP) The Pulmonary capillary wedge pressure is normal (Normal PCWP) Predominant symptoms are related to passive congestion of lungs and pulmonary edema : Dyspnea Orthopnea Paroxysmal Nocturnal Dyspnea (PND) Cough with Pink Frothy sputum Rales/Crackles Predominant symptoms are related to passive systemic congestion Peripheral Edema Ascites Congestive hepatomegaly (may be pulsatile) Congestive splenomegaly Weight gain Nocturia Raised JVP Positive Hepatojugular reflex Ref: Hurst 72th edition Pgno: 692